Which of the following is not used in management of barbiturate poisoning?
1. Flumazenil
2. Alkaline diuresis
3. Hemodialysis
4. Activated charcoal

Correct answer: 1. Flumazenil

Explanation: These are used in treatment of Barbiturates poisoning: (1) Haemodialysis and exchange transfusion are sometimes life-saving. (2) Activated Charcoal. (3) Forced alkaline diuresis is most useful in poisoning by barbiturates which are not protein-bound like phenobarbitone and barbitone. Flumazenil:is used for Benzodiazepenes poisoning and chloral hydrate (dry wine).